Siltuximab is used in treatment of ?
1. Castlemans disease
2. Sezary syndrome
3. Ankylosing spondylitis
4. Non hodgkins lymphoma

Correct answer: 1. Castlemans disease

Explanation: Ans. is 'a' i.e., Castleman's diseaselRef: Multiple myeloma, an issue of hematology oncology clinics E boohKenneth C Anderson p. 9171Siltuximab (Anti IL-6):IL-6 is produced by the stromal cells of the bone marrow, and plays a crucial role in the proliferation and survival of multiple myeloma cells.